Lacy white lesion in mouth with pterygium is seen in –
1. Psoriasis
2. Ptirysis alba
3. Lichen planus
4. Leprosy

Correct answer: 3. Lichen planus

Explanation: Mucosal lesions that present as a white net like eruption, i.e. lacy pattern and pterygium of nails is suggestive of Lichen planus.